The umbilical cord is shed off by -
1. 2-4 days
2. 1-2 weeks
3. 2-4 weeks
4. 1-2 months

Correct answer: 2. 1-2 weeks

Explanation: Ans. is 'b' i.e., 1-2 weeks o The umbilical cord stump usually dries and shrivels up and is shed off by 1-2 weeks.o The parents must look out for signs like redness, swelling and edema with pus discharge around the stump. These might indicate infection- Omphalitis